Which of this in an embolization agent?
1. Gel foam
2. PVA
3. Autologous blood clot
4. All of the above

Correct answer: 4. All of the above

Explanation: Ans DCatheter embolization places medications or synthetic materials called embolic agents through a catheter into a blood vessel to block blood flow to an area of the body. It may be used to control or prevent abnormal bleeding, close off vessels supplying blood to a tumor, eliminate abnormal connections between arteries and veins, or to treat aneurysms. Embolization is a highly effective way to control bleeding and is much less invasive than open surgery.List of embolization agents are:Temporary: Gelfoam, collagen, thrombin.Permanent:i Particles; PVA, Embospheresii Coils: Pushable, Injectable, Detachable.iii Liquid Agents: Glue, onyx, alcohol, ALGEL.iv Others: Balloons, Amplatzer Plugs, GGVOD.